All of the following are side effects of Linezolid, EXCEPT:
1. Optic neuropathy
2. Pancytopenia
3. Cardiac arrhythmia
4. Lactic acidosis

Correct answer: 3. Cardiac arrhythmia

Explanation: Adverse effects may include optic and peripheral neuropathy, pancytopenia, and lactic acidosis. Ref: Harrison's Principles of Internal Medicine, 18th Edition, Page 1379